Gastric lavage is contraindicated in:
1. Sulphuric acid poisoning
2. Organophosphorus poisoning
3. Datura poisoning
4. Salicylate poisoning

Correct answer: 1. Sulphuric acid poisoning

Explanation: Ans: a (Sulphuric acid poisoning)Ref: Reddy, 29th ed., Pg. 492Gastric lavage or gastric irrigation, is the process of cleaning out the contents of the stomach. Apart from toxicology, gastric lavage (or nasogastric lavage) is sometimes used to confirm levels of bleeding from the upper gastrointestinal tract.Gastric lavage is used infrequently in modem poisonings and some authorities have suggested that it notbe used routinely, if ever, in poisoning situations. Lavage should only be considered if the amount of poison ingested is potentially life-threatening and the procedure can be performed within 60 minutes of ingestion.Lavage is contraindicated when patients have a compromised, unprotected airway and in patients at risk of gastrointestinal hemorrhage or perforation. Relative contraindications include when the poisoning is due to a corrosive substance , hydrocarbons, or for poisons that have an effective antidote.